Pilocarpine is used in all of the following except:
1. Primary, Open Angle Glaucoma
2. Malignant Glaucoma
3. Acute Angle Closure Glaucoma
4. Chronic Synechial Angle Closure Glaucoma

Correct answer: 2. Malignant Glaucoma

Explanation: Management of angle-closure secondary to ciliochoroidal effusion is directed at two processes: The first is uveal inflammation, which is treated with oral steroids to reduce the effusion and allow the chamber to deepen spontaneously as the inflammation subsides. The second is anterior rotation of the lens-iris diaphragm, which is reversed with cycloplegics. The pressure is treated in the acute setting with aqueous suppressants and oral carbonic anhydrase inhibitors. Pilocarpine is contraindicated because it will cause anterior rotation of the lens-iris diaphragm. ref : ak khurana text book of ophthalmology